Isotope used in bone scans:
1. Technetium
2. Gallium
3. Selenium
4. Chromium

Correct answer: 1. Technetium

Explanation: Ans. Technetium